Which organism cannot be cultured -a) Klebsiella rhinoscleromatisb) Klebsiella ozaenaec) Klebsiella granulomatisd) Pneumocystis jirovecie) Rhinosporidium seeberi
1. de
2. bc
3. cd
4. bd

Correct answer: 1. de

Explanation: "The life cycle of pneumocystis probably involves sexual and asexual reproduction, although definitive proof awaits the development of a reliable culture system".
─ Harrison
"Rhinosporidium seeberi has not been cultivated in media". 
─ Ananthnarayan.